Within 48 hrs of transplantation, skin graft survives due to -
1. Amount of saline in graft
2. Plasma imbibition
3. New vessels growing from the donor tissue
4. Connection between donor and recipient capillaries

Correct answer: 2. Plasma imbibition